Absolute contraindications of OCPs are all except ________
1. Ischaemic heart disease
2. Hepatoma
3. Thyroid disorder
4. Breast cancer

Correct answer: 3. Thyroid disorder

Explanation: OCP's have no adverse effects on the thyroid. Contraindications of OCP: Cardiac disease, hypertension, smoker over 35 years. Diabetes History of thrombosis, myocardial infarct, sickle cell anaemia, severe migraine Chronic liver diseases such as cholestatic jaundice of preganancy, Cirrhosis of liver, adenoma, porphyrias Breast cancer, gall bladder disease Gross obesity Patient on enzyme-inducing drugs like rifampicin, and antiepileptic except sodium valproate 4-6 weeks prior to planned surgery Lactating woman Monilial vaginitis Ref: Shaw's textbook of Gynaecology 17th edition Pgno: 265